Selective serotonin reuptake inhibitors are drug of choice for all of the following conditions EXCEPT:
1. Acute panic attack
2. Social phobia
3. Post traumatic stress disorder
4. Generalized anxiety disorder

Correct answer: 1. Acute panic attack